Least rate of HIV transmission is seen in:
1. Forceps delivery
2. ARM
3. Vacuum delivery
4. Cesarean section

Correct answer: 4. Cesarean section

Explanation: Ans. is d, i.e. Cesarean sectionVertical HIV transmission was shown to be reduced by about half when cesarean was compared with vaginal delivery. Ref. Williams 24/e p1282